All are side effects of valproate Except
1. Alopecia
2. Hepatitis
3. Nephrotoxicity
4. Skin rashes

Correct answer: 3. Nephrotoxicity

Explanation: Side effects of valproate Nausea or vomiting; Bleeding, tender or enlarged gums; Abdominal cramps or pain; Changes in appetite; Changes in your weight; Irregular menstrual periods; Diarrhoea; Headache Ref: KD Tripathi 8th ed.